All are true about epigastric hernia except
1. Middles dump inRt the epigastric region
2. Cough impulse positac
3. Most common structure huniating is stomach
4. Confused with pain of peptic ulcer

Correct answer: 3. Most common structure huniating is stomach

Explanation: m/c structure huniating is pre - perituneal fat.